Mutation of which of the following gene is most important in paroxysmal nocturnal hemaglobinuria?
1. Decay accelerating factor (DAF)
2. Membrane inhibitor of reactive lysis (MIRL)
3. Glycosyl phosphatidyl inositol (GPI)
4. CD8 binding protein

Correct answer: 3. Glycosyl phosphatidyl inositol (GPI)

Explanation: Ans. is 'c Glycosyl phosphatidylinositol o PNH results from acquired mutation that inhibits the synthesis of Glycosyl-phosphatidyl-inositol (GPI). o The GPI linked proteins that are missing are membrane inhibitors of reactive lysis (MIRL; CD59), delay accelerating factor (DAF; CD55), C8 binding protein, urokinase plasminogen activator receptor, leukocyte alkaline phosphatase (LAP).